Sicca syndrome is associated with all except ?
1. Midline granuloma
2. Chronic active hepatitis
3. Rheumatoid arthritis
4. Scleroderma

Correct answer: 1. Midline granuloma

Explanation: Ans. is 'a' i.e., Midline granuloma